Mottled enamel occurs due to:
1. Fluorosis
2. Trauma
3. Hypocalcemia
4. Congenital syphilis

Correct answer: 1. Fluorosis